QY prolongation can be caused by
1. Lithium
2. Quinidine
3. Adenosine
4. Magnesium

Correct answer: 2. Quinidine